Arcuate field defect akin to glaucoma is seen in?
1. Pituitary tumor
2. Occipital lobe infarct
3. Optic nerve lesion
4. None of the above

Correct answer: 3. Optic nerve lesion

Explanation: Ans. is 'c' i.e., Optic nerve lesion An arcuate visual field defect usually results from damage to retinal nerve fibers or ganglion cells in the superior or inferior arcuate nerve fiber bundles. In such cases there is a central field defect that is not circular but instead is limited above or below by the horizontal meridian. This visual field defect may occur in patients with occlusion of blood supply of the superior or inferior portion of macula or in patients with glaucoma. In both settings, the scotoma is associated with normal visual acuity, since it does not completely affect the macula. Virtually any lesion, whether ischemic, infiltrative or compressive, can cause arcute field defect, and may be located in either the retina or optic nerve. Important causes of arcuate scotoma are :- Glaucoma Optic neuritis Anterior ischemic optic neuropathy (AION) Branch retinal vascular occlusion (artery or vein) Optic nerve drusen